Treatment of choice for bipolar disorder is
1. Fluoxetine
2. Imipramine
3. Lithium
4. Chlorpromazine

Correct answer: 3. Lithium

Explanation: ithium was introduced by JOHN F CADE it is used in treatment of MANIA it is a liver friendly drug it has to be used in caution with people with deranged renal parameters if the patient is on lithium, he should be warned about of intake of other meds like NSAIDS, ACE inhibitors , as it may result in toxicity if a patient develops lithium toxicity, the TREATMENT OF CHOICE IS HEMODIALYSIS Reference: p.565 chap 15.1 Depression and Bipolar Disorder